A soft, cystic, fluctuant swelling in a child's neck which
is brilliantly translucent is most likely
1. Sternornastoid tumour
2. Cystic hygroma
3. Branchial cyst
4. Cold abscess

Correct answer: 2. Cystic hygroma